Peripartum cradiomyopathy occurs:-
1. Within 24 hours
2. Within 7 days
3. Within 6 weeks
4. Within 6 months

Correct answer: 4. Within 6 months

Explanation: Peripartum cardiomyopathy occurs within 6 months